What is the most common histological type of nephritis seen in systemic lupus erythematosus (SLE)-
1. Mesangial
2. Focal proliferative
3. Diffuse proliferative
4. Membranous

Correct answer: 3. Diffuse proliferative

Explanation: Harshmohan textbook of pathology 7th edition diffuse lupus nephritis seen in 35 to 60% . Mesangial proliferation lupus nephritis seen in 10 to 25% Focal lupus nephritis seen in 20 to 35%. membraneous lupus nephritis seen in 10 to 15% cases..